A patient with maxillofacial trauma requires how much amount of potassium daily:
1. 100 mmol.
2. 150 mmol.
3. 60 mmol.
4. 30 mmol.

Correct answer: 3. 60 mmol.

Explanation: A patient with maxillofacial trauma requires 100 mmol amount of daily sodium
A patient with maxillofacial trauma requires 60 mmol amount of daily potassium